The action of botulinum toxin is through wof mechanisms
1. Direct action on acetylcholine esterase
2. Prevention of choline uptake
3. Direct action on muscarinic receptors
4. Prevention of acetylcholine release

Correct answer: 4. Prevention of acetylcholine release

Explanation: Botulinum toxin Botulinum toxin A and B are highly potent exotoxins produced by Clostridium botulinum that are responsible for 'botulism' (a type of food poisoning). mech of action:- These neurotoxic proteins cause long-lasting loss of cholinergic transmission by interacting with axonal proteins involved in exocytotic release of ACh. uses:- In the treatment of a number of spastic and other neurological conditions due to overactivity of cholinergic nerves, like blepharospasm, spastic cerebral palsy, strabismus, spasmodic torticollis, nystagmus, hemifacial spasm, post stroke spasticity, spasmodic dysphonia, axillary hyperhydrosis, etc. It is increasing being employed as beauty treatment by removal of age-related facial wrinkles. Ref:- kd tripathi; pg num:-99,100